Most common cause of ectopic ACTH production -
1. Renal cell carcinoma
2. Hepatocellular carcinoma
3. Small cell carcinoma lung
4. Pheochromacytoma

Correct answer: 3. Small cell carcinoma lung

Explanation: Ectopic ACTH can be secreted from original cancer tissues or metastatic lesions of SCLC. ... We report a case of SCLC with Cushing syndrome due to EAS from the original tumor tissue in a 69-year-old male presenting with severe hypokalemia, metabolic alkalosis, and hypertension without any respiratory symptoms Ref Harrison 20th edition pg 597